All of the following agents have polysaccharide capsule related antigen-antibody responses, EXCEPT:
1. Pneumococcus
2. Meningococcus
3. Haemophilus Influenza
4. Bordetella Pertusis

Correct answer: 4. Bordetella Pertusis

Explanation: Bordetella pertusis is not an encapsulated organism. Encapsulated organism are: H influenza type B Pneumococci Meningococci The capsular polysaccharides of these organisms induce strong antigen antibody responses. Ref: Immunobiology of carbohydrates By Simon Y. C. Wong, 2003, Page 128; Harrison's Principle of Internal Medicine, 17th Edition, Pages 769-771; Infectious Diseases' (Lippincott Williams Wilkins), 3rd Edition, Page 737; Review of Medical Microbiology and Immunology By Levinson (LANGE), 9th Edition, Page 739